Which is not done in case of lUGR :
1. Non stress test
2. Umbilical artery doppler
3. Ultrasound abdomen
4. Amniocentesis

Correct answer: 4. Amniocentesis

Explanation: IUGR can can be diagnosed by Clinical palpation of the uterus for the fundal height Symphysis Fundal height Maternal weight gain Measurment of the abdominal girth There are two types of tests to detect IUGR : Biometric and Biophysical tests Biometric test: Ultrasound biometry Biophysical tests: Doppler and biophysical profile TEXT BOOK OF OBSTETRICS,Sheila Balakrishnan,2nd edition,page no.204 and DC DUTTAS TEXTBOOK OF OBS,9th edition,page no. 433